"La facies sympathique" is an expression used in hanging to describe
1. Bilateral dilation of pupils
2. Bilateral constriction of pupils
3. Dilated pupil on the side of the knot
4. Dilated pupil on the opposite side of the knot

Correct answer: 3. Dilated pupil on the side of the knot

Explanation: In Hanging eyes may be closed or partly open or may be protruding. More often they are protruded and petechial hemorrhages may be noticed over the subconjunctival region and inner aspects of the eyelids. Etienne Martin (1950) described a state called as 'La Facies Sympathique' with right eye remaining open with a dilated pupil and the left eye closed with a small pupil. This may be due to pressure upon the cervical sympathetics, the eye on the same side remaining open and pupil dilated. Ref - Krishan Vij textbook of forensic medicine and toxicology 5e pg - 122